Titin is absent in
1. Skeletal muscle
2. Smooth muscle
3. Cardiac muscle
4. All

Correct answer: 2. Smooth muscle

Explanation: Titin induces elasticity and is absent in smooth muscle Ref:Guyton and Hall textbook of medical physiology 12th edition,page number:86,87